Courvoiser's law exception
1. Double impaction
2. Portal lymphademopathy
3. Periampullary CA
4. None

Correct answer: 1. Double impaction

Explanation: Answer- A. Double impactionCourvoisier's law states that in the presence of an enlarged gall bladder which is nontender and accompanied with jaundice the cause is unlikely to be gallstones. This is because gall stones areformed over alonger period oftime, and this result in a shrunken, fibrotic gall bladder which does not distend easily.Exception to Courvoiser's law:Double impactionPancreatic calculus obstruction ampullaOiental cholangio hepaticMitizzisyndrome